FNAC (Fine Needle Aspiration Cytology) can diagnose all the following except
1. Papillary carcinoma of thyroid
2. Follicular carcinoma of thyroid
3. Anaplastic carcinoma of thyroid
4. Medullary carcinoma of thyroid

Correct answer: 2. Follicular carcinoma of thyroid